Drug causing peptic ulcer are all except:
1. KC1
2. Diclofenac
3. Cyclosporine
4. Clopidegrel

Correct answer: 3. Cyclosporine

Explanation: Ans: C (Cyclosporine) Drug Causing Peptic UlcerIngestion of NSAIDs (including aspirin) is the main cause' of gastric and duodenal ulcers that are not associated with H. pylori infection."Diclofenac :Gastric ulceration & bleeding are less common"- K.D.T. 6th/193The isoenzymes cyclo-oxygenase-1 and cyclo-oxygenase-2 are largely responsible for the mucosal protective and antiinflammatory effects respectively of NSAIDs. Therefore newer NSAIDs, such as celecoxih and rofecoxih. that are highly selective for cyclo-oxygenase-2, control inflammation with 'ess risk*--' of causing ulcers.The use of alternative medications such as paracetamol is the best way to prevent NSAID-associated ulcers'1. NSAIDs are now generally avoided in non-inflammatory conditions such as osteoarthritis. When NSAIDs are required a cyclo- oxygenase-2-selective drug is preferred.If an ulcerogenic NSAID has to be continued in a patient at risk then ulcer prophylaxis is indicated. Proton pump inhibitors and misoprostol are both effective in healing and preventing NSAID-associated ulcers. The former are generally preferred because they have fewer side-effects: misoprostol in particular tends to cause diarrhoeaTable (Harrison): Causes of Ulcers Not Caused by HelicobacterPylori and NSAIDsPathogenesis of Non-Hp and Non-NSAIDInfection Cytomegalovirus Herpes simplex virus Hel i cobacter heil manniDrug/Toxin Bisphosphonates Chemotherapy Clopidogrel Q Crack cocaine GlucocorticoidsQ (when combined with NSAIDs) Mycophenolate mofetilQ Potassium chloride0 Miscellaneous Basophilia in myeloproliferative disease Duodenal obstruction (e.g., annular pancreas) Infiltrating disease Ischemia Radiation therapy Sarcoidosis Crohn's disease Idiopathic hypersecretory state